A term baby is going to deliver caesarean section to a mother with multiple medical problems:(1) seizures, for which she takes phenytoin (2)Rheumatic heart disease, taking penicillin daily (3) hypertension, for which she takes propranolol and (4) DVT in her right calf, for which she was started on a heparin therapy. Which of the following medications is most likely to cause harm in this newborn at delivery?
1. Penicillin
2. Phenytoin
3. Propranolol
4. Heparin

Correct answer: 3. Propranolol

Explanation: Heparin does not cross the placental barrier and does not appear to directly affect the fetus once pregnancy is well established. Phenytoin may cause birth defects when given during the first trimester. Penicillin have not been found to affect the fetus. Propranolol, which may cause growth retardation when given throughout pregnancy, diminishes the ability of an asphyxiated infant to increase heart rate and cardiac output. It has also been associated with hypoglycemia and apnea.